A 20 year old male presents with features of acute renal failure 5 days after an episode of diarrhea. Blood examination shows thrombocytopenia and Hb10 gm%. Likely cause is:
1. Haemolytic uremic syndrome
2. Hereditary spherocytosis
3. Haemolytic crises
4. Chronic glomerulonephritis

Correct answer: 1. Haemolytic uremic syndrome

Explanation: Answer is A (Hemolytic uremic syndrome): Patient presents with Renal failure 5 days after an episode of diarrhea. He has associated Anemia and Thrombocytopenia and thus qualifies the triad of HUS i.e. Anemia Thrombocytopenia Renal failure Remember In contrast to TTP, the HUS remains localized to the kidney, where hdyaline thrombi are seen in the afferent arterioles and glomerular capillaries. Such thrombi are not present in other vessels and neurologic symptoms, other than those associated with uremia are uncommon. DIC is not seen in both TTP & HUS